Schneiderian First rank symptoms are found in :
1. Schizophrenia
2. Organic delusional disorder
3. Schizoaffective disorder
4. All

Correct answer: 4. All

Explanation: A >> B, C The presence of one of these Schneider's first rank symptoms (SFRS) in the absenc of intoxication, brain injury or clear affective illness, was sometimes taken as sufficient for making diagnosis of schizophrenia (Kaplan). SFRS are not specifc for schizophrenia and may be seen in other psychiatric disorders such as mood disorderQ and organic psychiatric disordersQ (Ahuja)/affective psychosis (New oxford) Schneider first rank symptoms, which he believed were pathognomic of schizophrenia (& became the forerunner of notion of positive signs & symptoms ), are now known not to be specific for schizophrenia, for they may also occur in mania, drug induced states, other disordersQ (CDTP) Classification of schizophrenia like disorders include cases that resemble schizophrenia in some respects and yet do not meet the criteria for diagnosis. These include ICD-10 DSM - IV Schizoaffective disorder Schizo affective disorder Persistent delusional disorders Induced delusional disorder Delusional disorder Shared psychotic disorder Acute & transient psychotic disorder Acute schizophrenia like psychotic disorder Brief psychotic disorders Schizophreniform disorder Unspecified non organic psychosis Psychotic disorder not otherwise specified Schizotypal disorder, Other non organic psychotic disorders ?